Floor of middle ear cavity is in relation with:
1. Internal carotid artery
2. Bulb of the internal jugular vein
3. Sigmoid sinus
4. Round window

Correct answer: 2. Bulb of the internal jugular vein

Explanation: (b) Bulb of the internal jugular vein(Ref. Cummings, 6th ed., 1983)The floor of middle ear cavity is a thin plate of bone separating the middle ear from jugular bulb below.Internal carotid artery is in relation to the anterior wall of middle ear.Sigmoid sinus is not related directly with middle ear cavity. It lies posterior to the mastoid antrum.Round window lies postero-inferiorly on the medial wall of middle ear.